Megaloblastic anaemia may be caused by all of the following, except
1. Dilantin toxicity
2. Vitamin B12 deficiency
3. Folic acid deficiency
4. Long term aspirin intake

Correct answer: 4. Long term aspirin intake

Explanation: Aspirin intake doesn't cause megaloblastic anemia. All the others cause megaloblastic anemia. From medical pharmacology padmaja 4th edition Page no 256